Most common route of infection in kidney tuberculosis
1. Ascending infection
2. Lymphatic spread
3. Direct invasion
4. Hematogenous spread

Correct answer: 4. Hematogenous spread

Explanation: Genitourinary tuberculosis (GUTB) accounts for 14% of non-pulmonary cases of TB. It is caused by dissemination of the organism through the bloodstream and is thus always secondary TB. ref : Bailey and Love 27th ed , chapter 76 , pg no 1405